Which one of the following groups of people may be at increased risk for HIV infection?
1. Members of a household in which there is a person who is HIV-positive
2. Receptionists at a hospital
3. Factory workers whose coworkers are HIV-positive
4. Foreign service employees who are hospitalized in Zaire for bleeding ulcers

Correct answer: 4. Foreign service employees who are hospitalized in Zaire for bleeding ulcers

Explanation: Many believe that casual contact with patients who are HIV-positive increases the risk of acquiring the disease. This is not the case. It is also clear that homosexual females have a low rate of HIV acquisition. Because a substantial portion of the blood supply in Central African countries is HIV-infected, hospitalization is risky particularly if transfusion is necessary.